Which of the following is/are caused by trachoma –a) Entropionb) Ectropionc) Pingueculad) Corneal opacitye) Dry eye
1. acd
2. ade
3. abd
4. ad

Correct answer: 2. ade

Explanation: Trachoma can cause entropion (not ectropion), dry eye (xerosis) and corneal opacity.